INH induced neuropathy is treated with
1. Thiamine
2. Pyridoxine
3. Niacin
4. Riboflavin

Correct answer: 2. Pyridoxine